Filigree burns occur in ?
1. Lightening
2. Electrocution
3. Vitrilage
4. Infanticide

Correct answer: 1. Lightening

Explanation: Ans. is 'a' i.e., Lightening Lightening burns Lightening refers to discharge of current between a negatively charged cloud and positively charged article on earth. During lightening, injuries result due to following mechanisms :- Direct effect of high voltage current. Heat, i.e. super heated air causing burns. Expanded and displaced air, which acts as a blast wave. Sledge hammer blow by compressed air pushed before the current (sledge hammer effect and blow death). The characteristic finding in lightening burns is filigree burns/ arborescent burns/arborescent marking/ litchenberg flower. In this burns are seen as coloured branching patterns, especially on shoulder and flanks. This branching distribution like inverted tree, does not correspond to blood vessels.